On which of the following structure is B Lynch brace suture is applied?
1. Cervix
2. Uterus
3. Ovaries
4. Fallopian tubes

Correct answer: 2. Uterus

Explanation: B-LYNCH BRACE SUTURE: Placement of a brace suture to compress the uterus is used in cases of diffuse bleeding from atony or percreta. A small case series shows success and avoidance of hysterectomy using this novel approach. Ref: Poggi S.B. (2007). Chapter 31. Postpartum Hemorrhage & the Abnormal Puerperium. In A.H. DeCherney, L. Nathan (Eds), CURRENT Diagnosis & Treatment Obstetrics & Gynecology, 10e.